Treatment of Alkaptonuria:
1. Vitamin A
2. Vitamin C
3. Vitamin D
4. Vitamin K

Correct answer: 2. Vitamin C

Explanation: b. Vitamin C(Ref: Nelson's 20/e p 651)Some patients with Alkaptonuria benefit from high-dose vitamin C; In Alkaptonuria, Vitamin C has been shown to decrease the build-up of brown pigment in cartilage & may slow the development of arthritis.